False interpretation of an existing stimulus is termed as
1. Hallucination
2. Illusion
3. Dellusion
4. Delirium

Correct answer: 2. Illusion

Explanation: Illusion Illusion is a false interpretation of an existing stimulus by the senses, eg person sees a stick as a snake and reacts accordingly. A normal person sometimes may get an illusion eg a tree may be interpreted as ghost but able to correct it. A mentally ill person is not able to correct the illusion. Ref: FORENSIC MEDICINE AND TOXICOLOGY Dr PC IGNATIUS THIRD EDITION PAGE 360